Freud's theory of dream includes all except
1. Displacement
2. Condensation
3. Symbolisation
4. Correlation

Correct answer: 4. Correlation

Explanation: Condensation: Several unconscious desires are combined in a single image and manifests as a dream.
Displacement: Displacement of impulse from an original aspect to a substitute object

           Example: A person having unconscious impulse of aggresion towards his father, sees himself hitting a dog in his dream.

Symbolisation: A strong emotion towards, an individual is symbolized as a simple image.